Among the following structures which one is not used in the treatment of epilepsy ?
1. Barbiturates
2. Hydantoins
3. Acetylurea
4. Atropine

Correct answer: 4. Atropine